In the following nutrient arteries to bones, choose the wrong pair
1. Humerus -profundabrachii
2. Radius - anterior interosseous
3. Fibula - peroneal
4. Tibia - anterior tibial

Correct answer: 4. Tibia - anterior tibial

Explanation: Nutrient artery to tibia is a branch of a posterior tibial artery Ref: Gray's 39e/p112-127